Tolerance means?
1. Increase effect of drug on same dose
2. Decrease effect of drug on same dose
3. Same effect on lesser doses
4. None

Correct answer: 2. Decrease effect of drug on same dose

Explanation: Ans. is 'b' i.e., Decrease effect of drug on same dose * Tolerance means same dose produces markedly diminished effect on continuous use, therefore increased doses are required to produce same effect.* It is seen in alcohol dependent syndrome 8c has been included in its diagnostic criteria.